The optically inactive amino acid is:
1. Glycine
2. Serine
3. Threonine
4. Valine

Correct answer: 1. Glycine

Explanation: Ans. A. GlycineOptically inactive molecules are those whose mirror images are super imposable and don't have a chiral carbon atom.Out of the 20 standard amino acids glycine is the simplest, optically inactive amino acid.